The occlusal outline of the permanent mandibular first molar is usually similar to
1. Circle
2. Square
3. Trapezoid
4. Parallelogram

Correct answer: 3. Trapezoid